Amsler's grid is used in:
1. Detecting colour vision
2. Retinal function test
3. Maculopathy
4. Refractive errors

Correct answer: 3. Maculopathy

Explanation: Ans. Maculopathy